Mutations in COL 4A5 gene manifests as ?
1. Alport's syndrome
2. FINPCC
3. Good pasture
4. Vitiligo

Correct answer: 1. Alport's syndrome

Explanation: Ans. is 'a' i.e., Alport's syndrome